Magnesium level in blood increases in-
1. Uncontrolled DM
2. Liver cirrhosis
3. Kidney failure
4. Chronic alcoholism

Correct answer: 3. Kidney failure